All of the following are causes of cicatrizing alopecia except –
1. Lichen planus
2. Discoid lupus erythematosus
3. Alopecia areata
4. Lupus vulgaris

Correct answer: 3. Alopecia areata

Explanation: Alopecia areata causes non-cicatricial alopecia.